Rail-road calcification in the brain are found characteristically in:
1. Meningioma
2. Tolosa-Hunt syndrome
3. Sturge-Weber syndrome
4. Tuberculous meningitis

Correct answer: 3. Sturge-Weber syndrome

Explanation: Sturge-Weber syndrome: This is a vascular anomaly of the skin, choroid of the eye and ipsilateral leptomeninges. The facial port wine stain is distributed in the region of trigeminal nerve. These patients may develop glaucoma and seizures. Rail-road calcification in the occipital and temporal regions is characteristic in skull radiograph. MRI is the most sensitive technique for demonstrating cerebral lesions. Ref: O.P Ghai, 6th Ed, Page 628.